Which of the following is the major site of erythropoietin production during the fetal stage?
1. Liver
2. Yolk sac
3. Bone
4. Spleen

Correct answer: 1. Liver

Explanation: Erythropoietin is produced in the fetal liver in the first and second trimester.After birth, the major site of production is in the kidney.(Refer: Nelson's Textbook of Pediatrics, SAE, 1st edition, pg no. 2305 - 2306)